A HBsAg and anti-HBc (IgG) positive chronic hepatitis patient was also diagnosed to have HIV infection.  Best drug to attack both the viruses is
1. Zidovudine
2. Tenofovir
3. Stavudine
4. Abacavir

Correct answer: 2. Tenofovir

Explanation: Ref. KDT. Page. 808
Tenofovir is an adenine analog REVERSE TRANSCRIPTASE INHIBITOR with antiviral activity against HIV-1 and HEPATITIS B.

It is used to treat HIV INFECTIONS and CHRONIC HEPATITIS B, in combination with other ANTIVIRAL AGENTS, due to the emergence of ANTIVIRAL DRUG RESISTANCE when it is used alone.